A 50 years old hypertensive male cardiac patient, who is on anticonvulsant treatment, developed following rash on right hand. Most probable drug responsible for it is-
1. Propanolol
2. Atrovastatin
3. Warfarin
4. Phenytoin

Correct answer: 4. Phenytoin

Explanation: Ans. is 'd' i.e., Phenytoin* Given image is showing distal limb edema, purple discoloration and blisters on affected hand. It is a characteristic presentation of "purple glove syndrome", a classical adverse effect of intravenous phenytoin.